Neurofibromatosis shows which of the following mode of inheritance ?
1. AD
2. AR
3. X linked dominant
4. X linked recessive

Correct answer: 1. AD

Explanation: Ans. is 'a' i.e., AD Neurofibromatosis shows autosomal dominant inheritance pattern Single gene disorders (Mendelian disorders) typically follow one of the three patterns of inharitance ? Autosomal dominance Autosomal recessive X-linked Autosomal dominant disorders Normally a gene pair has two alleles. When one allele becomes abnormal due to mutation it is called heterozygous state. When both the alleles become abnormal due to mutation it is called homozygous state. Autosomal dominant disorders are manifested in heterozygous state, i.e. only if one allel is abnormal the disease will be manifested.